Diarrhoea with ulcer responding to PPI is seen in :
1. MEN 1 syndrome
2. Zollinger ellison syndrome
3. H.pylori infection
4. VIPoma

Correct answer: 2. Zollinger ellison syndrome

Explanation: Answer- B. Zollinger ellison syndromeZE syndrome presents with secretory diarrhae and gastric ulcer which responds well to PPI.MEN I is also associated with ZE syndrome, but their are other major components also like parathyroid hyperplasia and prolactinoma.H. pylori infection, does not usually cause diarrhea and VIPoma does not usually cause peptic ulcer.